The term "Serial extraction" was coined by
1. Kjelgren
2. Robert Bunon
3. Joseph Fox
4. Hotz

Correct answer: 1. Kjelgren